Grey Turner's sign in seen in:
1. Acute appendicitis
2. Acute pancreatitis
3. Acute cholecystitis
4. Acute hepatitis

Correct answer: 2. Acute pancreatitis

Explanation: Ans. B: Acute pancreatitis Grey-Turner's sign is bruising of the flanks. It occurs in severe, acute pancreatitis due to subcutaneous tracking of inflammatory, peripancreatic exudate from the pancreatic area of the retroperitoneum. It is also seen in severe abdominal injury, e.g. road traffic accidents, and in ruptured abdominal aortic aneurysm.